Arginosuccinate is synthesized from
1. Citrulline and arginine
2. Arginine and aspartate
3. Citrulline and aspartate
4. Citrulline and fumarate

Correct answer: 3. Citrulline and aspartate

Explanation: Ans. is 'c' i.e., Citrulline and aspartate Arginosuccinate is synthesized from citrulline and aspartate in Urea cycle.